Part of colon with no mesentery?
1. Transverse colon
2. Sigmoid colon
3. Ascending colon
4. Rectum

Correct answer: 3. Ascending colon

Explanation: Mesenteries in intestine1) Mesentery proper :- Mesentery of small intestine (jejunum and ileum) is fan shaped double layered peritoneal fold which suspends the coils of jejunum and ileum. Mesentery has :?i) Attached border (root of mesentery) :- It is 15 cm long and extends from duodenojejunal flexure (on left side of L2) to upper part of right sacroiliac joint.Root of mesentery crosses following structures :-(i) 3rd part (horizontal part) of duodenum, (ii) abdominal aorta, (iii) IVC, (iv) right ureter, and(v) right psoas major.ii) Free border (intestinal border) :- It is 6 meters long and is attached to gut forming its visceral peritoneum (serous coat).2) Transverse mesocolon :- It connects transverse colon to posterior abdominal wall and contains middle colic vessels.3) Mesoappendix :- It connects the appendix to the ileal mesentery and contains appendicular vessels.4) Sigmoid mesocolon :- It connects sigmoid colon to posterior pelvic wall and contains sigmoid vessels.5) Mesorectum : It contains superior rectal vessels (artery & veins) with their branches, lymphatic vessels and lymph nodes along superior rectal artery, and branches from inferior mesenteric plexus.